Drug used to perform stress ECHO?
1. Thallium
2. Dobutamine
3. Adrenaline
4. Adenosine

Correct answer: 2. Dobutamine

Explanation: Ref: R Alagappan - Manual of Practical Medicine 4th Edition.pg no:123 Stress ECHO A stress ECHO can be done following administration of adenosine, dobutamine or dipyridamole to detect evidence of ischaemia.